Which drug acts on PPAR gamma receptors?
1. Losartan
2. Telmisartan
3. Perindopril
4. None of the above

Correct answer: 2. Telmisartan

Explanation: Ans. B. TelmisartanTelmisartan, Valsartan are selective modulator of PPAR -g a central regulator of Insulin & glucose metabolism.Candesartan - used in migraineLosartan - uricosuric and anti-platelet activity